Not an absolute contraindication of laparoscopy is
1. Diaphragmatic hernia
2. Generalized peritonitis
3. Patient on anticoagulant therapy
4. Previous incomplete laparoscopy

Correct answer: 4. Previous incomplete laparoscopy

Explanation: Contraindications Severe cardiopulmonary disease Hemodynamically unstable Generalised peritonitis Diaphramatic hernia Hemoperitoneum Intestinal obstruction Excessive peritoneal adhesions Large pelvic tumour Pregnancy>16weeks Advanced malignancy Anticoagulation therapy D.C.DUTTA'S TEXTBOOK OF GYNECOLOGY,Pg no:615,6th edition